Injection of muscarinic agonist in conjunctival sac will lead to all of the following except-
1. Conjunctival and uveal hyperaemia
2. Ciliary spasm
3. Miosis
4. Decreased secretion from ciliary epithelium

Correct answer: 4. Decreased secretion from ciliary epithelium

Explanation: Effects of muscarinic agents 1) Blood vessel dilation causing conjunctival and uveal hyperaemia 2) Ciliary spasm 3) Miosis 4) Increased aqueous outflow due to opening of trabecular meshwork due to ciliary muscle contraction. Ref: Yanoff & Duker 2nd/e p.1121